Supposititious child is:
1. Illegitimate child
2. Fictitious child
3. Battered child
4. Posthumous child

Correct answer: 2. Fictitious child

Explanation: Ans. B i.e. Fictitious child Supposititious children are fraudulent offspring. These arose when an heir was required and so a suitable baby might be procured and passed off as genuine.